A patient presented with diarrhea and his stool examination showed the egg for H. Nana. What is drug of choice?
1. Praziquantal
2. Mebendazole
3. Albendazole
4. Pyrantelpamoate

Correct answer: 1. Praziquantal

Explanation: DOC for platyhelminths ( flukes and tapeworms )- Praziquantal Except liver fluke- triclabendazole Except dog tapeworm - albendazole Drug of choice for nematodes is ALBENDAZOLE Except: Filarial worm - Diethylcarbamazine Except Strongyloides: Ivermectin Except Onchocerca: Ivermectin